Net reproductive rate=1 can be achieved if couple protection rate is more than:
1. 40%
2. 50%
3. 60%
4. 70%

Correct answer: 3. 60%

Explanation: Demographic goal of Net reproductive rate=1 can be achieved if couple protection rate is more than 60%. Ref: Park, 22nd edition pg: 455